All are true regarding ADH action except -
1. Postoperative secretion is more
2. ADH secretion occurs when plasma osmolality is low
3. Acts on DCT
4. Neuro-secretion

Correct answer: 2. ADH secretion occurs when plasma osmolality is low

Explanation: Answer- B. ADH secretion occurs when plasma osmolality is lowADH acts on DCT and collecting duct to increase water reabsorption.ADH secretion is increased when plasma osmolality is highStress (like surgery) increases ADH secretion.